If prevalence is increased, which of the following will be seen ?
1. Sensitivity increase
2. Specificity decrease
3. Increase positive predictive value
4. Decrease positive predictive value

Correct answer: 3. Increase positive predictive value

Explanation: Ans. is 'c' i.e., Increase positive predictive value